Polar bodies are formed during ?
1. Spermatogenesis
2. Organogenesis
3. Oogenesis
4. Morphogenesis

Correct answer: 3. Oogenesis

Explanation: The first polar body is formed at the end of meiosis I and the second polar body is formed at the end of meiosis II. Ref: An Introduction to Human Embryology for Medical Students, 7th Edition, Pages 12, 14; Anatomy and Physiology Laboratory Manual By Robert Amitrano, 7th Edition, Page 614; An Introduction to Human Disease: Pathology and Pathophysiology Correlations By Leonard V. Crowley, 8th Edition, Pages 49, 57.